Principles of Health education include all Except
1. Credibility
2. Interest
3. Motivation
4. Unknown to known

Correct answer: 4. Unknown to known

Explanation: Principles of Health education include: Credibility, Interest, Participation, Motivation, Comprehension, Reinforcement, Learning by doing, Known to unknown, Setting an example, Good human relations, Feedback, leadersPark 23e Pg: 862